The best sustaining topical effect of fluoride is obtained by:
1. NaF
2. APF gel
3. Duraphat
4. SnF

Correct answer: 3. Duraphat

Explanation: Duraphat, the first fluoride varnish developed in Germany, is a viscous yellowish material, containing 22,600 ppm fluoride as sodium fluoride in a neutral colophonium base (NaF varnish containing 2.26% fluoride in organic lacquer)

NaF- 9200 ppm
SnF2 - 9500 ppm
APF- 12300 ppm

Essentials of preventive and community dentistry 5th edition
Soben Peter page no. 256